ACTH level is higher during:
1. Early morning
2. Evening
3. Afternoon
4. Night

Correct answer: 1. Early morning

Explanation: Ans. (a) Early morning(Ref: Ganong, 25th ed/p.366)ACTH and cortisol secretion is pulsatile with a characteristic circadian rhythm. It is high in the early morning and low in the evening75% of the daily production of ACTH & cortisol occurs between 4:00 AM and 10:00 AM